March fracture is fracture of:
1. Calcaneus
2. 2nd metatarsal
3. Distal fibula
4. Proximal tibia

Correct answer: 2. 2nd metatarsal

Explanation: Ans. B: 2nd metatarsal A stress fracture of the 2nd or 3rd metatarsal bone is sometimes called a 'march fracture' because soldiers running in boots often get it. The fracture heals spontaneously, so treatment is purely symptomatic.